Congenital varicella infection causes all except:
1. Macrocephaly
2. Limb hypoplasia
3. Cortical atrophy
4. Cicatrix

Correct answer: 1. Macrocephaly

Explanation: Ans. a. Macrocephaly